Which of the following is an example of intraoral tracer?
1. Height
2. Philip
3. Stansbery
4. Messerrnan

Correct answer: 4. Messerrnan